Nodular scabies is found in –
1. Web space of finger
2. Axilla
3. Abdomen
4. Scrotum

Correct answer: 4. Scrotum

Explanation: Nodular scabies is an atypical form of scabies that presents as itchy nodules over scrotum & penis.